The first permanent tooth to appear is
1. First molar
2. Lateral incisor
3. Upper canine
4. First premolar

Correct answer: 1. First molar

Explanation: A i.e. First molar First temporary (primary) teeth to appear is Lowere central incisorQ; and first permanent (secondary) teeth to appear is Pt molarQ.